Which enzymes plays an important role in regulating blood glucose levels after feeding ?
1. Glucokinase
2. Glucose-6-phosphatase
3. Phosphofructokinase
4. Pyruvate kinase

Correct answer: 1. Glucokinase

Explanation: Glucokinase Glucokinase promotes uptake of large amounts of glucose by the liver. At normal glucose levels, the liver produces glucose from glycogen, but as glucose levels rise after feeding, the liver stops converting glycogen and instead takes up glucose. Insulin also plays a role in regulating blood glucose levels. Pancreatic B cells produce insulin in response to hyperglycemia Glucose uptake by the B cells and phosphorylation by glucokinase stimulates secretion of insulin, which enhances glucose transport into adipose tissues and muscle and thus lowers blood glucose levels.